Hypogastric sheath is a condensation of -
1. Scarpa's fascia
2. Colle's fascia
3. Pelvic fascia
4. Inferior layer of the Urogenital diaphragm

Correct answer: 3. Pelvic fascia

Explanation: Ans. C. Pelvic fasciaCondensations of endopelvic fascia-a. Although types of endopelvic fascia do not differ much in their gross appearance, some parts of the endopelvic fascia haveva much more fibrous consistency, containing an abundance of collagen and elastic fibers, and a scattering of smooth muscle fibers. These parts are often described as "fascial condensations" or pelvic "ligaments."b. Hypo gastric sheath is a thick band of condensed pelvic fascia. This fascial condensation is not merelya barrier separating the two potential spaces namely the retropubic space and presacral space. It gives passage to essentially all the vessels and nerves passing from the lateral wall of the pelvis to the pelvic viscera, along with the ureters and, in the male, the ductus deferens.c. As it extends medially from the lateral wall, the hypogastric sheath divides into three laminae (layers) that pass to or between the pelvic organs, conveying neurovascular structures and providing support. Because of the latter function, they are also referred to as ligaments.d. The anterior most lamina, the lateral ligament of the bladder, passes to the bladder, conveying the superior vesical arteries and veins.e. The posterior most lamina (lateral rectal ligament) passes to the rectum, conveying the middle rectal artery and vein.f. In the male, the middle lamina forms a relatively thin fascial partition, the rectovesical septum, between the posterior surface of the bladder and the prostate anteriorly and the rectum posteriorly.g. In the female, the middle lamina is markedly more substantial than the other two, passing medially to the uterine cervix and vagina as the cardinal ligament (transverse cervical ligament).